Which of the following indicates hemolysis?
1. Target cells
2. Schistocytes
3. Acantocytes
4. Basophilic stippling

Correct answer: 2. Schistocytes

Explanation: Schistocytosis is identified by fragmentation of erythrocytes . schistocytes are found in microangiopathic hemolytic anaemia, megaloblastic anemia , iron deficiency anaemia, in severe burns Schistocytes are fragmented red blood cells that can take on different shapes. They can be found as triangular, helmet shaped, or comma shaped with pointed edges.Schistocytes are most often found to be microcytic with no area of central pallor. reference textbook of Pathology 7th edition page number 270 author Harsha Mohan